Antrochoanal polyp is characterized by:
1. Usually bilateral
2. It is of allergic origin
3. It arises from maxillary antrum
4. All

Correct answer: 3. It arises from maxillary antrum

Explanation: Nasal polyps are non-neoplastic masses of edematous nasal or sinus mucosa. They do not bleed on touch and are insensitive to probing and never present with epistaxis or bleeding from nose. Recurrence is uncommon in case of antrochoanal polyp. Antrochoanal polyps arise from maxillary arum and then grow into choana and nasal cavity.